12 year old with rapid increase in weight and Height over past one year presents with difficulty in sitting cross legged and squatting, knee would go into axilla every time she flexes her hip and knee, most likely diagnosis
1. Hyperthyroidism
2. Slipped capital femoral epiphysis
3. Perthe's disease
4. Hip dislocation

Correct answer: 2. Slipped capital femoral epiphysis